Androgen binding protein is secreted by
1. Pituitary
2. Liver
3. Sertoli cells
4. Leydig cells

Correct answer: 3. Sertoli cells

Explanation: Sertoli cells are the somatic cells of the testis that are essential for testis formation and spermatogenesis. Sertoli cells facilitate the progression of germ cells to spermatozoa direct contact and by controlling the environment milieu within the seminiferous tubules Ref: guyton and hall textbook of medical physiology 12 edition page number:630,631,632